Instrument No. 40 represents
1. Diameter at D1
2. Diameter at D2
3. Diameter at D1+D2
4. Diameter at D2-D1

Correct answer: 1. Diameter at D1